NRR is defined as:
1. Total number of children in a family
2. Number of daughters a newborn girl will bear during her lifetime
3. Total number of members in family
4. Total number of female children in a family

Correct answer: 2. Number of daughters a newborn girl will bear during her lifetime

Explanation: Ans: b (Number of daughters a newborn girl....) Ref: Park, 19th ed, p.Net Reproduction rate (NRR) is defined as number of daughters a newborn girl will bear in her life time assuming fixed age specific fertility and mortality rates. NRR is a demographic indicator. The present level of NRR is 1.5 in India (1990). NRR of 1 is equivalent to attaining 2 child norm. NRR=1 can be achieved only if at least 60% of eligible couples are effectively practicing family planning. Fertility related statisticsQuestions were asked from this topic. Just go through the following important fertility rates.General fertility rate- is the number of live births per 1000 women in the reproductive age group (15-44 or 49 years) in a given year.GFR is a better measure of fertility than crude birth rate.General Marital fertility rate- is the number of live births per 1000 married women in the reproductive age group (15-44 or 49 years) in a given year.Age-specific Fertility rate (ASFR)- is defined as the number of live births per 1000 women in any specified age group in a given year.ASFR shows the fertility pattern. They are also sensitive indicator of family planning achievement.ASFR =Number of live births in a particular age groupMid year female population of same age groupx 1000Total fertility rate (TFR)- represents the average number of children a woman would have if she were to pass through her reproductive years bearing children at the same rate as the woman now in each age group. It is obtained by summing the age specific fertility rates for all ages. This measure gives the approximate magnitude of "completed family size."TFR= 5x OASFR